True about ASHA are all except
1. One per 1000 rural population
2. Mobiliser of antenatal care
3. Female voluntary worker
4. Skilled birth attendant

Correct answer: 4. Skilled birth attendant

Explanation: ASHA is not a skilled birth attendant. she will arrange escort/accompany pregnant women. All others are true. Ref: PARK'S TEXTBOOK OF PREVENTIVE AND SOCIAL MEDICINE 23rd edition pg 449